WHO ORS contains -
1. Sodium chloride 2.5 g
2. Potassium chloride 1.5 g
3. Glucose 20g
4. Shift of water from ECF to ICF

Correct answer: 2. Potassium chloride 1.5 g

Explanation: Ans. is 'b' i.e., Potassium chloride-1.5 gm Because of the improved effectiveness of reduced osmolarity ORS solution, WHO and UNICEF are recommending that countries manufacture and use the following formulation in place of the previously recommended ORS solution.